Hepatosplenomegaly is not seen in:
1. Malaria
2. Lymphoma
3. Sickle cell disease
4. Kala azar

Correct answer: 3. Sickle cell disease

Explanation: Ans. C: Sickle cell disease Some of the common medical causes of hepatosplenomegaly include: Leukemia Lymphoma Bilia atresia Bile duct carcinom Budd Chiari syndrome Spherocytosis Cirrhosis Hepatitis Malaria Thrombocytosis Patient with sickle cell disease often suffer from autosplenectomy as a result of splenic destruction by the numerous infarcts associated with the sickle cell crisis during childhood. Indeed presence of a palpable spleen in a patient with sickle cell disease after age 5 suggests a coexisting hemoglobinopathv